Semi-Smoke less black powder is a mixture of
1. 50% black powder + 50% smokeless powder
2. 60% black powder + 40% smokeless powder
3. 70% black powder + 30% smokeless powder
4. 80% black powder + 20% smokeless powder

Correct answer: 4. 80% black powder + 20% smokeless powder

Explanation: Semi-smokeless powder: It consists of a mixture of 80% black and 20% smokeless type Gunpowders: Black powder: It produces flame, smoke, and heat, and consists of granular ingredients, like sulfur, charcoal, and saltpeter (potassium nitrate) Smokeless powder: It is more effective than black powder as it burns more efficiently and produces much less smoke, resulting in less blackening and tattooing around the entry wound. Ref - Krishnan Vij 5th edition pg 238-240